Most important cause of abdominal distension in intestinal obstruction –
1. Cases produced by bacterial activity
2. Cases diffused from blood
3. Swallowed air
4. Products of digestion

Correct answer: 3. Swallowed air

Explanation: In intestinal obstruction distension of the intestine is caused by accumulation of gas and fluid proximal to and within the obstructed segmented.
70-80% of this intestinal gas consists of swallowed air.